Depression is not caused by -
1. Clonazepam
2. Levodopa
3. Metronidazole
4. Corticosteroid

Correct answer: 3. Metronidazole

Explanation: Drugs causing depression:- Antihypertensives (Reserpine, methyldopa, (-blocker), NSAIDs, calcium channel blockers, anticonvulsants, Bromocriptine, Opioids, Disulfiram, Steroids (corticosteroids, oral contraceptives), Barbiturates, Benzodiazepines (clonazepam), Levodopa, Statins.